K Flex file is
1. Made of triangular blank
2. Made of square blank
3. Made of rhomboid blank
4. Made of round wires

Correct answer: 3. Made of rhomboid blank